All of the following are seen in inflammatory polyarthritis, except
1. New bone formation
2. Erythema
3. Increased ESR
4. Morning stiffness more than one hour

Correct answer: 1. New bone formation

Explanation: Answer is A (New bone formation)